The clinical sign of hyaline membrane disease generally first appears –
1. In the first 6 hours of life
2. Between 12 and 24 hours of life
3. Between 36 and 48 hours of life
4. After 48 hours of lilfe

Correct answer: 1. In the first 6 hours of life

Explanation: Clinical features of HMD 

Respiratory distress occurs within the first 6 hours of life.
Clinical features include -


Tachypnea                                                           
o Decreased air entry          a BP may fall

a Retraction                                 
o Fatigue                                                              
o Oliguria                  If untreated

Grunting                                                               

o Pollor 
o Ileus

Cyanosis              
Mixed respiratory & metabolic acidosis